What is PULP cap?
1. Capping of the exposed vital pulp with a thin layer of inert lining or base material
2. Capping of exposed vital pulp tissue by placing a layer of mineral trioxide aggregate (MTA) or calcium hydroxide
3. A method of isolation used during root canal treatment
4. An early stage of tooth development

Correct answer: 2. Capping of exposed vital pulp tissue by placing a layer of mineral trioxide aggregate (MTA) or calcium hydroxide